Positive acid Schiff macrophages seen in?
1. Whipple disease
2. Crohn's disease
3. Abetalipoproteinemia
4. Ulcerative colitis

Correct answer: 1. Whipple disease

Explanation: Ans. a. Whipple diseaseRef: Robbins and Cotran Pathologic Basis of Disease 9th Ed; Page No- 791Whipple DiseaseInfection with Tropheryma whipplei (intracellular gram [?]); PAS [?]Foamy macrophages in intestinal lamina propria.Cardiac symptoms, Arthralgias, and Neurologic symptoms are common.Diarrhea/steatorrhea occurs later in disease course.Most common in older men.